A 25-year-old boy while playing cricket has a severe blow of cricket ball on the lateral side of the right knee . On X ray, fracture of the head and neck of the right fibula was seen . What other complication will occur from this fibular fracture
1. Ischemia in the gastrocnemius
2. Loss of plantar flexion
3. Trendelenburg's sign
4. Anterior tibial compartment syndrome

Correct answer: 4. Anterior tibial compartment syndrome

Explanation: Anterior tibial compartment syndrome is characterized by ischemic necrosis of the muscles of the anterior tibial compartment of the leg resulting from damage to the anterior tibial artery. The gastrocnemius receives blood from sural branches of the popliteal artery. Loss of plantar flexion is due to necrosis of the posterior muscles of the leg which are supplied by the posterior tibial and peroneal arteries. Trendelenburg's sign is caused by weakness or paralysis of the gluteus medius and minimus muscles.